Most common GI manifestation in HIV infection is
1. Amebiasis
2. Cryptosoporidiosis
3. Giaridiasis
4. Hook Worm infestation

Correct answer: 2. Cryptosoporidiosis